Most potent lipid phase antioxidant:
1. Vitamin A
2. Vitamin E
3. Vitamin C
4. Vitamin K

Correct answer: 2. Vitamin E

Explanation: Vit E delays the progression of atherosclerotic plaque because its convert oxidased LDH to Normal LDH Vit E act simultaneously with selenium & selenium is part of glutathione peroxidase which is involved in the oxidant Pathway in cell Other anti-oxidant Vitamin - Vit A, C & D Vit K - Fat soluble vitamin only fat soluble vitamin which has co-enzyme role in carboxylation of glutamate in clotting factors 2,7,9,10